All of the following are used for hypertensive emergencies, Except:
1. Fenoldapam
2. Nitroglycerine
3. Nitroprusside
4. Clonidine

Correct answer: 4. Clonidine

Explanation: Answer is D (Clonidine) Clonidine is a central Alfa-agonist that is recommended for the management of severe hypertension, that is not accompanied by evidence of end organ damage. However clonidine is not recommended for true hypertensive emergencies (crisis) where the goal is to reduce the blood pressure within minutes (preferably in less than one hour) Fenoldapam, Nitroglycerine and Nitroprusside may all be used intravenously for rapid reduction of Blood Pressure in patients with true Hypertensive emergencies.